Which of the following statements is true about net protein utilization -
1. It is the ratio of total nitrogen retained by total N2 intake multiplied by 100
2. If net protein utilization is high, the amount of protein required in diet is high
3. It is the ration of energy from protein to total energy in diet
4. It is amount of one amino acid per gram of a protein divided by the amount of same amino acid per gram of egg protein

Correct answer: 1. It is the ratio of total nitrogen retained by total N2 intake multiplied by 100

Explanation: - net protein utilisation: it is a product of digestibility coefficient and biological value divided by 100. - NPU= nitrogen retained by the body * 100/ nitrogen intake. Reference : Park's textbook of preventive and social medicine, 23rd edition, pg no:634